Drug causing hirsuitism and gynaecomastia
1. Spironolactone
2. Rifampicin
3. Penicillin
4. Bumetanide

Correct answer: 1. Spironolactone

Explanation: Ans. is 'a' i.e., Spironlactone